To see the bacteria methods used are -
1. Microscopy
2. Stained preparations
3. Both
4. None

Correct answer: 3. Both

Explanation: Ans. is 'c' i.e., Both . Individal bacterial cells hard to see because i) They are too small to he seen by naked eye. ii) They are almost transparent . So, to be seen they require? i) Magnification under microscope ii) Staining techniques to produce contrast